Bodies in chromoblastomycosis -
1. Asteroid bodies
2. Sclerotic bodies
3. Torres bodies
4. Guameri bodies

Correct answer: 2. Sclerotic bodies

Explanation: Ans. is 'b' i.e., Sclerotic bodies o See previous explanation.